Alveolar hypoventilation is observed in -
1. Guillain-Barre syndrome
2. Acute asthma
3. Bronchiectasis
4. CREST syndrome

Correct answer: 1. Guillain-Barre syndrome

Explanation: Ans. is 'a' i.e., Guillain-Barre syndrome o Neuromuscular diseases that can cause alveolar hypoventilation include myasthenia gravis, amyotrophic lateral sclerosis, Guillain-Barre syndrome, and muscular dystrophy Patients with neuromuscular disorders have rapid, shallow breathing secondary> to severe muscle weakness or abnormal motor neuron function. The central respiratory drive is maintained in patients with neuromuscular disorders. Thus, hypoventilation is secondary to respiratory muscle weakness. o Chest wall deformities such as kyphoscoliosis, fibrothorax, and those occurring post thoracoplasty are associated with alveolar hypoventilation leading to respiratory insufficiency and respiratory failure. o Hypoventilation is not uncommon in patients with severe COPD. Alveolar hypoventilation in COPD usually does not occur unless the forced expiratory volume in 1 second (FEV1) is less than IL or 35% of the predicted value. However, many patients with severe airflow obstruction do not develop hypoventilation.